Most common cause of the poor film radiograph
1. Poor processing in the darkroom
2. Poor exposure
3. Poor Temperature and safe light
4. All of the above

Correct answer: 1. Poor processing in the darkroom

Explanation: At the beginning of each work day, check the levels of the processing solutions and replenish with fresh developing solution and fresh fixing solution, as necessary. The most common cause of poor film radiographs is poor processing in the darkroom, in particular, the use of depleted solutions.